Painless lower GI bleed is seen in child with -a) Meckle' s diverticulumb) Rectal polypc) Anal fissured) Ac. appendicitis
1. ac
2. ab
3. ad
4. bc

Correct answer: 2. ab